In a lady presenting with preeclampsia all of the following drugs can be used in treatment EXCEPT
1. Labetalol
2. Methyl dopa
3. Enalapril
4. Hydralazine

Correct answer: 3. Enalapril

Explanation: (C) Enalapril # Treatment of Preeclampsia:> Antihypertensives are used when: Persistent rise of BP specially diastolic above 110 mm Hg. In severe pre-eclampsia to bring down the blood pressure> Common drugs used are: Methyl dopa: 250-500 gm tid or qid - Mode of action is by Central and peripheral anti-adrenergic action Nifedipine: 10-20 mg bd - Calcium channel blocker Hydralazine: 10-25 mg bid - Vascular smooth muscle relaxant Lebtalol: 10-25 mg bid - Adrenoceptor antagonist (a and b blocker)